All of the following are components of Dane Particle except -
1. Surface antigen
2. Core antigen
3. C-antigen
4. Delta antigen

Correct answer: 4. Delta antigen

Explanation: Complete hepatitis B virus or Dane particle -consist of outer envelope inner core. The genome has a 4 overlapping genes -S gene C gene P gene and X gene. REF:ANANTHANARAYAN AND PANIKER'S TEXTBOOK OF MICROBIOLOGY 9TH EDITION PAGE NO:543 and 544